Which of following substances inhibit succinate dehydrogease in Kreb cycle?
1. Flouroacetate
2. Arsenite
3. Malonate
4. Fluoride

Correct answer: 3. Malonate

Explanation: Inhibitors of TCA Cycle

Aconitase noncompetitively inhibited by Flouroacetate 
Alpha Ketoglutarate Dehydrogenase noncompetitively inhibited by Arsenite 
Succinate Dehydrogenase is competitively inhibited by Malonate.(Inhibitor of complex II of ETC).

Harper 30th edition pg-162